Which of the following anticancer drug can cause flagellated dermatitis?
1. Cisplatin
2. L-asparginase
3. Doxorubicin
4. Bleomycin

Correct answer: 4. Bleomycin

Explanation: FLAGELLATED DERMATITIS: It is characterised by pruritic, erythematous, linear streaks that resemble whiplash marks, hence the name flagellated. Bleomycin is metabolized by an enzyme hydrolase. This enzyme is deficient in skin and lungs. Therefore, the major adverse effects of bleomycin is related to skin (flagellated dermatitis) and lungs (pulmonary fibrosis) OTHER CAUSES OF FLAGELLATED DERMATITIS: DRUGS: BLEOMYCIN, DOCETAXEL, BENDAMUSTINE RHEUMATOLOGICAL CAUSES: DERMATOMYOSITIS, ADULT ONSET STILL'S DISEASE TOXINS: SHIITAKE MUSHROOMS